In pediatric fracture of the body of the mandible which
of the following is true of fracture line?
1. Downwards and forwards
2. Downwards and backwards
3. In a zigzag Line due to the presence of tooth buds
4. In a straight Line from above downwards

Correct answer: 1. Downwards and forwards